Cause of Unilateral Hypertranslucent hemithorax
1. Pleural effusion
2. Pneumonectony
3. Poland's syndrome
4. Collapse

Correct answer: 3. Poland's syndrome

Explanation: Poland's (U/L congenital absence of pectoral muscles) - thus hypertransluscency.